Egg on side appearance on chest X-ray is associated with?
1. ASD
2. VSD
3. TGA
4. PDA

Correct answer: 3. TGA

Explanation: Ans. is 'c' i.e., TGA * Egg on side appearance is characteristic radiographic feature of transposition of great vessels (TGA).Cardiac configration* "Boot-shaped" heart (cour en sabot)Fallot's tetralogy* "Egg on side" heart ("egg in cup" heart)Transposition of great arteries* "Egg in cup" HeartConstrictive pericarditis* "Snowman" sign ("figure of 8, or cottage loaf" sign)Supracardiac TAPVC* "Ground - glass" appearance of lungObstructive TAPVC* "Sitting-duck" heartPersistent truncus arteriosus* "Water-bottle" or flasked shaped or money bag heartPericardial effusion, hypothyroidism* "Box-shaped" heartTricuspid atresia, Ebstein's anomaly* Tubular heartAddison's disease, emphysema* "Tear -drop" heartChronic emphysema* "Cor-triatum"Pulmonary vein obstruction* "Jug handle" appearancePrimary pulmonary hypertension* "Pentagon-shaped" heartMitral incompetence* "Triangular-shaped" heartConstrictive pericarditis